Post treatment HCG levels, during the follow up of molar pregnancy evacuation, comes back to normal in:
1. 3 weeks
2. 6 weeks
3. 9 weeks
4. 12 weeks

Correct answer: 3. 9 weeks

Explanation: HCG follow up of vesicular mole: - weekly HCG estimation till negative (vesicular mole takes 9 weeks and partial mole takes 7 weeks) - weekly HCG till 3 more weeks - Once in a month for 6 months . Avoid pregnancy during this time. Use contraception, best being COCPs